Which of the following is a method of breaking bad news:
1. Burst
2. Spread
3. Spike
4. Dive

Correct answer: 3. Spike

Explanation: Ans. C: SpikeSpikes is the procedure for disclosing unfavorable information -- "breaking bad news" -- to cancer patients about their illness.The protocol (SPIKES) consists of six steps.The goal is to enable the clinician to fulfill the four most important objectives of the interview disclosing bad news: gathering information from the patient, transmitting the medical information, providing support to the patient, and eliciting the patient's collaboration in developing a strategy or treatment plan for the future.Oncologists, oncology trainees, and medical students who have been taught the protocol have reported increased confidence in their ability to disclose unfavorable medical information to patients.